Which of the following statement is true in the mediastinum:
1. The left brachiocephalic vein passes posterior to the brachiocephalic artery
2. The ligamentum arteriosum inter-connects the aortic arch and the left pulmonary vein
3. The left recurrent laryngeal nerve passes under the arch of aorta
4. The thoracic duct is found between the oesophagus and the trachea

Correct answer: 3. The left recurrent laryngeal nerve passes under the arch of aorta

Explanation: The left recurrent laryngeal nerve passes under the arch of aorta. Ligamentum arteriosum is the fibrous remnant of ductus arteriosus, of fetus, a channel that short circuited the lungs. It passes from commencement of left pulmonary artery to the concavity of aortic arch beyond the point where left subclavian artery branches off. The left recurrent laryngeal nerve hooks around it. The left brachiocephalic vein passes anterior to the brachiocephalic artery Thoracic duct traverses the diaphragm at the aortic aperture (T12) and ascends the superior and posterior mediastinum between the descending thoracic aorta (to its left) and the azygos vein(to its right).